During Pomeroy's method of female sterilization, which portion of the tube is ligated ?
1. Isthmus
2. Ampullary
3. Isthmo-ampullary
4. Cornual

Correct answer: 3. Isthmo-ampullary

Explanation: Ans. is c i.e. Isthmo-ampullary I have given these 2 questions (4 and 5) simultaneously so that you understand how the answer changes as the options of the question change. Sterilization is done at the junction of proximal and middle third - the loop formed consists mainly of isthmus and part of the ampullary region of the tube. Therefore if in options- isthmo-ampullary is given, it is the best choice but if isthmo ampullary is not given Isthmus is the next best choice.